Which of the following is a new drug that acts by inhibiting PCSK9?
1. Reslizumab
2. Brodalumab
3. Alirocumab
4. Ixekizumab

Correct answer: 3. Alirocumab

Explanation: Monoclonal Antibodies that target PCSK9: Alirocumab and Evolocumab. Pro protein convertase subtilisin Kexan type 9 (PCSK9) is a protein that binds LDL receptors and transport them to lysosomes where these are degraded . Therefore instead of recycling of LDL receptor to surface of hepatocytes they get destroyed. Inhibitors of PCSK9 therefore prevent destruction of LDL receptor resulting in lowering of LDL cholesterol.